Which of the following statement about Bacillary angiomatosis is not true?
1. Caused by B.henslae
2. Can cause Peliosis hepatis
3. Aminoglycosisdes useful
4. Brain is involved in AIDS patient

Correct answer: 3. Aminoglycosisdes useful

Explanation: Bacillary angiomatosis and peliosis hepatis occur primarily in HIV infected personsCaused by B.henselae and B.quintanaTreatment consists of erythromycin or doxycyclineRef: Harrison; 18/e p1318, 1319